Carcinoma cervix involving upper 2/3 of vagina without parametrial involvement are classed as:
1. IIA
2. IIB
3. IIIA
4. IIIB

Correct answer: 1. IIA

Explanation: Involvement of the upper two thirds of the vagina, without parametrial involvement is stage IIA. With parametrial involvement is stage IIB. For some IIA radical hysterectomy may be considered and for IIB, chemoradiation is preferred. International Federation of Gynecology and Obstetrics Cervical Cancer Staging: Stage 0 Carcinoma-in-situ Stage I Confined to the cervix Stage IA1: Minimal invasion Stage IA2: Stage IB1: More than A2 and Stage IB2: >4 cm total diameter Stage II Involvement of the upper two thirds of the vagina, without parametrial involvement (A) or with parametrial involvement (B) Stage III A. Involvement of the lower third of the vagina B. Involvement of a parametria to the sidewall or obstruction of one or both ureters on imaging Stage IV A. Local involvement of the bladder or rectum B. Distant metastases Ref: Cain J., ElMasri W.M., Gregory T., Kohn E.C. (2010). Chapter 41. Gynecology. In F.C. Brunicardi, D.K. Andersen, T.R. Billiar, D.L. Dunn, J.G. Hunter, J.B. Matthews, R.E. Pollock (Eds), Schwartz's Principles of Surgery, 9e.